Best investigation for ureteric stones is:
1. CT
2. CECT
3. USG
4. IVP

Correct answer: 1. CT

Explanation: Helical CT without oral or intravenous contrast is the preferred imaging modality for patients with renal colic or suspected urolithiasis" -- Smith's Urology Ref : Smith's Urology 17/e p81, 261